Which of the following antimicrobials can be used for the treatment of diabetic gastroparesis?
1. Erythromycin
2. Amikacin
3. Doxycycline
4. Metronidazole

Correct answer: 1. Erythromycin

Explanation: Diabetic Gastroparesis -is a case of autoniomic neuropathy of digestive tract due to long standing poory controlled diabetes mellitus. Macrolides at higher doses have similar action like motilin (a amino-peptide hormone secreted by enterochromaffin cells of GIT and is a potent contractile agent of upper GI tract). Erythhromycin at lower doses may also cause cholinergic action on GIT. So macrolides can be used in treatment of Diabetic Gastroparesis. It can also be used in cases of post operative hypomobility to speed up peristalsis.